Which of the following is not associated with left sided portal hypertension
1. Secondary to pancreatic inflammation or neoplasm
2. Normal superior mesenteric and portal venous pressure
3. Easily reversed by splenectomy
4. Isolated esophageal varices present

Correct answer: 4. Isolated esophageal varices present

Explanation: Left sided portal hypertension Portal hypertension due to isolated splenic vein thrombosis is known as left sided portal hypertension or sinistral hypertension Pressure in portal vein and SMV are normal There is gastrosplenic venous hypertension leading to formation of gastric varices Causes Pancreatitis (Most common) leading to splenic vein thrombosis Neoplasm Trauma Treatment Splenectomy is the treatment of choice Ref: Sabiston 20th edition Pgno : 1436-1437